Paracusis Willisii is seen in?
1. Otosclerosis
2. Meniere's disease
3. Otitis media
4. Otitis externa

Correct answer: 1. Otosclerosis

Explanation: ANSWER: (A) OtosclerosisREF: Dhingra's 4th edp.98"A patient of otosclerosis hears better in noisy environment, this is known as paracusis willisi"